U/L vocal cord palsy treatment includes -a) Isshiki type I thyroplastyb) Isshiki type II thyroplastyc) Woodmann operationd) Laser arytenoidectomye) Teflon injection
1. ae
2. b
3. ab
4. ad

Correct answer: 1. ae

Explanation: Actually the answer of this question should be none as isolated unilateral vocal cord paralysis does not usually require any treatment.
However, if consider unilateral vocal cord paralysis as a part of combined unilateral palsy (combined RLN and SLN paralysis), then option 'a & e' are correct.

Treatment of unilateral combined (RLN & SLN) Paralysis 

Speech therapy
Medialization of cord : - This can be done by : -


Injection of teflon paste lateral to paralysed cord.
Thyroplasty type I
Muscle or cartilage implant
Arthrodesis of cricoarytenoid joint